Ideal cholesterol should be below
1. 100mg /dL
2. 200mg / dL
3. 150 mg / dL
4. 250 mg / dL

Correct answer: 2. 200mg / dL